A community has a population of 10,000 and a birth rate of 36 per 1000. 5 maternal deaths were reported in the current year. The MMR is
1. 14.5
2. 13.8
3. 20
4. 5

Correct answer: 2. 13.8

Explanation: MMR = 5/360 X 100,000
          = 1388 per 100,000 population
    LB = 13.88 per 1000 LB.